In Dacryocystorhinostomy, opening is done into:
1. Superior meatus
2. Middle meatus
3. Inferior meatus
4. None of the above

Correct answer: 2. Middle meatus

Explanation: Dacryocystorhinostomy (DCR) surgery is a procedure that aims to eliminate fluid and mucus retention within the lacrimal sac, and to increase tear drainage for relief of epiphora (water running down the face). Classic dacryocystorhinostomy (DCR) requires an external incision and drilling through the lacrimal bone into the middle meatus.